Lisch nodule is seen in –
1. Von recklinghausens disease
2. Lupus vulgaris
3. Leprosy
4. LGV

Correct answer: 1. Von recklinghausens disease

Explanation: Lisch nodules are hamartomas, located within the iris. They are characteristic of neurofibromatosis-1.